Best time for hearing assessment in an infant is
1. 1st month of life
2. 3-6 months
3. 6-9 months
4. 9-12 months

Correct answer: 1. 1st month of life

Explanation: It is recommended that all infants be screened for hearing loss by 1 month of age All infants who do not pass the hearing screening need to complete a diagnostic hearing evaluation by 3 months of age and All children identified with permanent hearing loss need to receive appropriate intervention by 6 months of age This plan is also called the 1-3-6 plan Ref: Logan Turner's pg no 382